Hydrostatic test is NOT required in:
1. Monster child
2. Mummified child
3. Non-ble child
4. All of the above

Correct answer: 4. All of the above

Explanation: Ans. D i.e. All of the above